Typical features of Lipoid nephrosis include:
1. Normal light microscopy
2. FSGS
3. Glomerular tuft sclerosis
4. All

Correct answer: 1. Normal light microscopy

Explanation: Answer is A (Normal light microscopy) Minimal Change Disease or Lipoid Nephrosis is typically charachterized by a normal light microscopy and effacement offoot processes on electron microscopy 'MCD on renal biopsy shows no obvious zlomerular lesion by light microscopy and is negative for deposits by immunofluorescent microscopy, or occasional/ shows small amounts of IgM in the mesangium. Electron microscopy, however consistently demonstrates an effacement of the foot process supporting the epithelial podoces with weakening of slit-pore membranes. '- Harrison's 17th / 1790 FSGS may be seen in the small subset of patients with steroid resistance but its presence is not a typical feature of Lipoid Nephrosis 'Patients with steroid resistance can develop FSGS on repeat biopsy'